All of the following are true about sargramustin except
1. It is a G - CSF analog
2. It is used in cases of neutropenia
3. Chronic usage can lead to bone pain
4. It can also lead to flu like symptoms

Correct answer: 1. It is a G - CSF analog

Explanation: It is a GM - CSF analog.
Filagastrim & lenogastrim are G - CSF analogs.